Nerve commonly involved in fracture distal shaft of the Humerus -
1. Radial nerve
2. Medial
3. Ulnar
4. Circumflex brachial nerve

Correct answer: 1. Radial nerve

Explanation: Radial nerve is the most commonly injured nerve in fracture shaft humerus. It is particularly common in oblique fractures at the junction of middle and distal third bone ( Hoistein-lewis fracture)